Exhumation can be ordered by
1. Doctor
2. Civil surgeon
3. District magistrate
4. Police commissioner

Correct answer: 3. District magistrate

Explanation: Ans. c (District magistrate) (Ref. Parikh FMT 6th ed., p 2.90)EXHUMATION# By exhumation is meant the lawful disinterment or digging out of buried body from the grave.# It is sometimes necessary for -- Identification- Determination of cause of death (foul play suspected)# As the Hindus who form majority cremate their dead bodies within a few hrs, exhumation in India is quite rare.# Only a magistrate or coroner can order it.# In India, there is no time limit for exhumation.